Retrolental fibroplasia is due to -
1. Hypocapnia
2. CO2
3. Hypoxia
4. Hyperoxygenemia

Correct answer: 4. Hyperoxygenemia

Explanation: Ans. is 'd' i.e., Hyperoxygenemia Retrolental fibroplasia (Retinopathy of prematurity) Predisposing factor Prematurity (less gestational age) Precipitating factor --> Hyperoxia